Pinna is supplied by:
1. Vagus nerve
2. Auriculotemporal nerve
3. Grater auricular nerve
4. All

Correct answer: 4. All

Explanation: A i.e. Vagus nerve; B i.e. Auriculotemporal nerve; C i.e. Great auricular nerve